BMP -4 is inhibited by A/E
1. Noggin
2. Follistatin
3. Retinoic Acid
4. Chordin

Correct answer: 3. Retinoic Acid

Explanation: C i.e. Retinoic Acid